Gram-negative cocci is
1. Nisseria
2. Helicobactor
3. Cholera
4. Campylobactor

Correct answer: 1. Nisseria

Explanation: Neisseria is a gram-negative coccus typically arranged in pairs. Vibrio cholerae are gram-negative, curved bacilli. Campylobacter is gram-negative rods, typically comma-shaped. Helicobacter is a gram-negative spiral rod. Reference: Textbook of Microbiology; Anathanarayan and panicker's; 10th edition; Page no: 230